In a patient, corneal scraping reveals narrow angled septate hyphae. Which of the following is the likely etiologic agent?
1. Mucor
2. Candida
3. Aspergillus
4. Histoplasma

Correct answer: 3. Aspergillus

Explanation: Aspergillus is a mould with narrow angled septate hyphae. Asexual conidia are arranged in chain, carried on elongated cells called sterigmata borne on expanded ends of conidiophores. Aspergillus fumigatus is the common cause of aspergillosis. Histoplasma is a dimorphic fungi. Mucor is a broad nonseptate hyphae present in tissues. Candida is characterized by the presence of pseudohyphae. Ref: Essentials of Clinical Mycology By Carol A. Kaufmann, 2nd Edition, Pages 248-53